A 70 year old man develops pneumonia and septicemia. Patient goes into renal failure and has a BP of 70/50 mm of Hg. Which of the following drugs could stabilise his blood pressure?
1. Adrenaline
2. Ephedrine
3. Phenylephrine
4. Norepinephrine

Correct answer: 4. Norepinephrine

Explanation: Treatment of septic shock include aggressive fluid resuscitation and oxygen supplementation. If hypotension persists, dopamine is the drug of choice to raise arterial pressure and to maintain BP. When dopamine fails to raise BP, a potent vasopressor like nor-epinephrine is used. Ref: Harrison's Principles of Internal Medicine, 16th Edition, Page 1605; Septic Shock: Current Pathogenetic Concepts, Optimal Management, And Future Perspectives, George H. Sakorafas, 2005 Edition, Page 38; Essentials of Emergency Medicine, Richard Aghababian, 2nd Edition, Chapter 67, Page 333.